Which of the following is TRUE regarding gastric emptying:
1. Decreased by CCK.
2. Decreased by gastrin
3. Increased by secretin
4. Decreased by insulin.

Correct answer: 1. Decreased by CCK.

Explanation: A i.e. Decreased by CCK